Pheochromocytoma is characterized by:
1. Headache
2. Paroxysmal hypertension
3. Profuse sweating
4. All of the above

Correct answer: 4. All of the above

Explanation: Ans. D: All of the above Symptoms of phaeochromocytoma include the following: Headache Diaphoresis Palpitations Tremor Nausea Weakness Anxiety, sense of doom Epigastric pain Flank pain Constipation Weight loss The classic history of a patient with a pheochromocytoma includes spells characterized by headaches, palpitations, and diaphoresis in association with severe hypertension. These 4 characteristics together are strongly suggestive of a pheochromocytoma. In the absence of these 3 symptoms and hypertension, the diagnosis may be excluded. The spells may vary in occurrence from monthly to several times per day, and the duration may vary from seconds to hours. Typically, they worsen with time, occurring more frequently and becoming more severe as the tumor grows